A patient with CSOM presents with diplopia on seeing towards left side. Most probable cause:
1. Right lateral sinus thrombophlebitis
2. Right petrositis
3. Left petrositis
4. Left lateral sinus thrombophlebitis

Correct answer: 3. Left petrositis

Explanation: Ans: C (Left petrositis) Ref: Diseases of the Ear, Nose and Throat by PL Dhingra, 5th edn., 2010 pg: 89Explanation:The diplopia is likely to be due to petrositis, which is a known complication of CSOM.Petrositis leads to Gradenigo' syndrome.Triad of Gradenigo'syndrome.o External (Lateral) rectus palsy due to VIth nerve (Abtfucens) palsy-This causes diplopia on looking at the same direction as of the affected eye.o Deep seated ear or retro-orbital pain o Persistent ear discharge.Other symptoms include:o Photophobia.o Excessive lacrimation.o Fever.o Reduced corneal sensitivity.Diagnosis is by both CT scan and MRI.Treatment consists of:o Antibacterial therapy.o Surgical treatment with cortical or modified radical mastoidectomy.